True regarding scrum pox is all except
1. Common in rugby players
2. Caused by varicella zoster virus
3. Acyclovir is treatment
4. Vesicular Lesions and fever seen

Correct answer: 2. Caused by varicella zoster virus

Explanation: Serum pox is caused by HSV - type I.